Which is claimed to be the most successful treatment for cleft palate?
1. Mirault Blair operation.
2. Miller's rotation advancement.
3. Langenbeck's operation.
4. None

Correct answer: 3. Langenbeck's operation.

Explanation: Langenbeck and Wardill's four flap operations are for the repair of cleft palate